A female patient presents with reddish vagina and greenish discharge, the probable diagnosis is :
1. Herpes infection
2. Trichomonas vagination
3. Gonococcal infection
4. Candidiasis

Correct answer: 2. Trichomonas vagination

Explanation: Trichomonas vagination